Samter's triad refers to the association of asprin sensitive asthma and -
1. Obesity
2. Urticaria
3. Nasal polyp
4. Rhinosinusitis

Correct answer: 3. Nasal polyp

Explanation: Ans. is 'c' i.e., Nasal polyp Aspirin triad or Samter's triad Samter's triad | |Nasal polyps|Asthma|Aspirin sensitivityo It is caused due to defect in leukotriene metabolism. Polyps in this condition are florid and recur frequently.o The nasal polyps associated with Samter's triad are often very extensive, difficult to treat with a great tendency to recurrence.